Minimum duration of developing coal minor pneumoconiasis is –
1. 2–4 years
2. 4–6 years
3. 8–10 years
4. More than 10 years

Correct answer: 4. More than 10 years

Explanation: Coal worker pneumoconiosis (Antracosis) 

There are two general phases in coal miners pneumoconiosis


The first phase : Simple pneumoconiosis : This is associates with only little ventilatory impairment but requires 12 years of work exposure for its development.
The second phase : Progressive massive fibrosis : This is associated with severe respiratory disability and takes much longer.